Which of the following statement is False regarding Meckel's Diverticulum
1. Persistant proximal part of Vitello-Intestinal duct
2. Disappear during 6th week of intrauterine life
3. It occurs in 2% and 2 inches long
4. Its calibre is equal to Jejunum

Correct answer: 4. Its calibre is equal to Jejunum

Explanation: Meckel's diverticulum is the persistent proximal part of the vitellointestinal duct which is present in the embryo, and which normally disappears during the 6th week of intrauterine life. 1 It occurs in 2% subjects.2 Usually, it is 2 inches or 5 cm long.3 It is situated about 2 feet or 60 cm proximal to the ileocaecal valve, attached to the antimesenteric border of the ileum.4 Its calibre is equal to that of the ileum.5 Its apex may be free or may be attached to the umbilicus, to the mesentery, or to any other abdominal structure by a fibrous band.Reference: Chaurasia Volume II; 7th edition; Page no: 290